In belladona poisoning, antidote is:
1. Physostigmine
2. Neostigmine
3. Anti histamine
4. Atropine

Correct answer: 1. Physostigmine

Explanation: A i.e. Physostigmine Belladona Poisoning May occur due to consumption of seeds & berries of belladona / dhatura plant Clinical presentation are due to anticholinergic effects i.e. Dry mouth, difficulty in swallowing & talking, dry skin, difficulty in micturation, dilated pupil, photophobia etc.